Which of the following disorder is an indication for the use of steroids in neonates?
1. Brochopulmonary dysplasia
2. Pulmonary hypoplasia
3. Oesophagial atresia
4. None

Correct answer: 1. Brochopulmonary dysplasia

Explanation: Bronchopulmonary disorder is a chronic lung disorder which occur in children born prematurely with low birthweight and who recieved prolonged mechanical ventilation to treat respiratory distress syndrome. Treatment modalities includes use of surfactant, inhalational glucocorticoids with beta 2 agonists .